What characteristic of struvite (ammonium magnesium phosphate) stones makes antibiotics ineffective when treatment is being performed?
1. Resistant bacteria
2. Poor excretion of antibiotics
3. Ineffective antibiotics
4. Bacteria inaccessible to antibiotics

Correct answer: 4. Bacteria inaccessible to antibiotics

Explanation: Bacteria inaccessible to antibiotics. Struvite calculi harbor infective bacteria within their interstices. Effective therapy must be directed to eradicate associated infection. Struvite stones are the second most common type of renal calculi after calcium oxalate stone.